Mesothelioma is caused by –
1. Asbestosis
2. Silicosis
3. Baggasois
4. Anthracosis

Correct answer: 1. Asbestosis

Explanation: Asbestosis 

There are two distinct geometric forms of asbestos -


Serpentine chrysolite
Amphibole (crocidolite)


Serpentine chrysolite accounts for most of the asbestos used in industry.
Both serpentine and amphibole can cause all asbestosis related disease except for mesotheloma, which is usually associated with amphibole (crocidolite).

Asbestos related diseases 

Localized fibrous plaques which may be calcified.
Diffuse pleural fibrosis
Pleural effusion
Parenchymal interstitial fibrosis (asbestosis).
Lung carcinoma → Most common neoplasm associated with asbestos exposure.
Mesothelioma of pleura and peritoneum → most specific neoplasm associated with asbestos exposure.
Laryngeal and colon carcinomas.
Stomach carcinoma

Note - Concomitant cigarette smoking greatly increase the risk of lung carcinoma but not that of mesotheloma.